Not a feature of Congenital glaucoma among the following
1. Haab's striae
2. Blue sclera
3. Shallow Anterior chamber
4. Corneal oedema

Correct answer: 3. Shallow Anterior chamber

Explanation: Anterior chamber is deep in Congenital glaucoma.